Most common site of sub ependymal astrocytoma (giant cell)
1. Trigone of lateral ventricle
2. Foramen of munro
3. Temporal horn of lateral ventricle
4. 4th ventricle

Correct answer: 2. Foramen of munro

Explanation: Subependymal giant cell astrocytoma (SEGA, SGCA, or SGCT) is a low-grade astrocytic brain tumor (astrocytoma) that arises within the ventricles of the brain. It is most commonly associated with tuberous sclerosis complex (TSC). Although it is a low-grade tumor, its location can potentially obstruct the ventricles and lead to hydrocephalus Subependymal giant cell astrocytoma (SEGA) is a slowly growing tumor of unknown histogenesis mainly arising in the periventricular regions adjacent to the foramen of Monro which causes increased intracranial pressure, seizures, and focal neurologic signs Ref Harrison20th edition pg 2456